A 35 years old man Ramu has fasting and post prandial blood sugar within normal limit but urine sugar is 3 plus (+++)* The diagnosis is.
1. Renal Glycosuria
2. Pancreatic insufficiency
3. Alimentary glycosuria
4. High carbohydrate diet taken in the morning.

Correct answer: 1. Renal Glycosuria

Explanation: Ans. is 'a' Renal Glycosuria. /Reference Harrison 15/e p 2315]Patient is excreting Glucose at normal blood glucose concentration. This feature is characteristics of renal glycosuria."It is characterized by urinary excretion of Glucose at normal concentrations of blood glucose"The condition is benign but occasionally glycosuria may be severe enough to cause polyuria and polydipsia.